Articular disc displaced or dislocated anteriorly due to :
1. Stong pull of lateral pterygoid.
2. Weakening of retrodiscal tissue.
3. Any of the above.
4. None.

Correct answer: 3. Any of the above.